Impacted wisdom teeth may produce referred pain via
1. Lingual nerve
2. Facial nerve
3. Branch of the auriculo temporal nerve
4. None of the above

Correct answer: 3. Branch of the auriculo temporal nerve

Explanation: Unerupted wisdom teeth, erupting teeth, and malocclusion can cause ear pain secondary to direct impingement of the auriculotemporal nerve.